Primary lesion in lichen planus is:
1. Macule
2. Papule
3. Vesicle
4. Bulk

Correct answer: 2. Papule